Active partner in lesbianism is called as
1. Femme
2. Bugger
3. Catamite
4. Dyke

Correct answer: 4. Dyke

Explanation: Ans. d. Dyke The active partner in lesbianism is known as 'butch' or 'dyke' and the passive agent is called as 'femme'. Dyke or Butch Active partner in lesbianismQ Femme Passive agent in lesbianismQ Buggery or sodomy Anal intercourse between two malesQ Catamite When passive agent is a childQ